In the perspective of the busy life schedule in the modern society, the accepted minimum period of sexual cohabilitation resulting in no offspring for a couple to be declared infertile is :
1. One year
2. One and a half - year
3. Two years
4. Three years

Correct answer: 1. One year

Explanation: One year If a couple fails to achieve pregnancy after one year of "unprotected" and regular inter course, it is an indication to investingate the couple for infertility. Also know : * 90% of couples should conceive after 12 months of unprotected sex. Infertility : - Primary : When no previous pregnancies have occurred. - Secondary : When a prior pregnancy although not necessary although not necessary a live birth, has occurred. Fecundability : is the probability of achieving pregnancy within a single menstrual cycle. Fecundity : is the probability of achieving a live birth within a single menstrual cycle. Absolute Infertility : It results from congenital or acquired irreversible loss of functional gametes in either partner or the absence of uterus in females.